Which of these genes promote epithelial-mesenchymal transition and are important metastatic genes in epithelial tumors?
1. MYC
2. SNAIL
3. TWIST
4. Both 2 and 3

Correct answer: 4. Both 2 and 3

Explanation: Metasis oncogenes are SNAIL and TWIST, which encode transcription factors whose primary function is to promote epithelial-to-mesenchymal transition (EMT). 
In EMT, carcinoma cells downregulate certain epithelial markers (e.g., E-cadherin) and upregulate certain mesenchymal markers  (e.g.,  vimentin, smooth muscle actin).
EMT has been documented mainly in breast carcinoma.

Reference-Robbins BASIC PATHOLOGY 10th edition pg-223